All of the following statements about Treatment of Hodgkin's lymphoma are true, Except:
1. ABVD is the most commonly used Regimen
2. Sterility is more frequent after ABVD than MOPP
3. Combination chemotherapy is the mainstay of treatment in Advanced Hodgkin's disease
4. WBC count > 15000/mm3 is a poor prognostic factor

Correct answer: 2. Sterility is more frequent after ABVD than MOPP

Explanation: Answer is B (Sterility is more frequent complication of ABVD than MOPP) Sterility is more frequent complication of MOPP than AB VD. Infertility and Treatment of Hodgkins Lymphoma Infertility is a concern for all patients undergoing treatment Risk of infertility is age related - Risk is increased in old age (younger patients are more likely to recover fertility) Risk of infertility is more with MOPP than ABVD (Treatment with ABVD rather than MOPP increases the chances to retain fertility - Harrison)